Largest sinus:
1. Frontal sinus
2. Maxillary sinus
3. Ethmoidal sinus
4. Aphenoid sinus

Correct answer: 2. Maxillary sinus

Explanation: Ans. (b) Maxillary sinusRef: Dhingra 5th Ed. / 203-204Maxillary sinus is largest sinus with volume of around 15 cc.